Acantholytic cells is:
1. Melanocyte
2. Keratinocyte
3. Neutrophils
4. Monocyte

Correct answer: 2. Keratinocyte

Explanation: Ans. B: Keratinocyte The bulla in pemphigus shows presence of acantholytic cells These cells (which are present both in the blister cavity and at the edge of the blister) are rounded keratinocytes with the cytoplasm condensed in the periphery, resulting in a perinuclear halo Pemphigus: Autoimmune disease Antibodies against intercellular substance Intradermal acantholytic bullae present (with oral mucosal lesion) Mucus membrane lesions seen Acantholysis is seen in epidermis Haley-Haley disease It is also known as familial benign pemphigus NO sub-epidermal blistering Intra-epidermal vesicle caused by breaking apart of epidermal cells Definitive diagnosis also requires the demonstration of anti-desmoglein autoantibodies by direct immunofluorescence on the skin biopsy